Cori cycle or lactic acid cycle involves which of the following?
1. Blood
2. Liver
3. Muscle
4. All of the above

Correct answer: 4. All of the above

Explanation: In Coris cycle there is cycling of lactate between muscle and liver through blood. In the skeletal muscles, during exercise lactic acid is formed due to anaerobic oxidation of glucose. This lactic acid is transported in the blood to the liver for conversion into pyruvate which then undergo gluconeogenesis and form glucose. This glucose is in turn transported to the skeletal muscles. The glucose thus formed from lactate becomes available for energy purpose in skeletal muscle. Ref: Essentials of Biochemistry By Pankaja Naik page 100.